Beta agonist used in bronchial asthma exert their action by-
1. Selective b1 agonism
2. Selective b2 agonism
3. Selective b1 antagonism
4. Selective b2 antagonism

Correct answer: 2. Selective b2 agonism

Explanation: Ans. is 'b' i.e. Selective b2 agonism